Beta 2 agonist causes
1. Mydriasis
2. Contraction of urinary spinctors
3. Vasoconstriction
4. Bronchial muscle relaxation

Correct answer: 4. Bronchial muscle relaxation